Healthy thinking includes all except aEUR'
1. >Continuity
2. >Constancy
3. >Organization
4. >Clarity

Correct answer: 4. >Clarity

Explanation: Clarity Ref: Fish's Clinical Psychopathology: Signs and Symptoms in Psychiatry By Patricia R. Casey,Brendan Kelly 3/e p47 Cousey: Dr Shahid Saache (shahidsaache(admail.com)Schneider suggested there were three features of healthy thinking:Constancy: this is characteristic of a completed thought that does not change in content unless and until it is superseded by another consciously-derived thoughtOrganisation: the contents of thought are related to each other in consciousness and do not blend with each other, but are separated in an organised way.Continuity: there is a continuity of the sense continuum, so that even the most heterogenous subsidiary thoughts, sudden ideas or observations that emerge are arranged in order in the whole content of consciousness